The normal cup disc ratio is -
1. 0.3
2. 0.6
3. 1.2
4. 2.4

Correct answer: 1. 0.3

Explanation:  Cup-disc ratio. Normal cup disc ratio is 0.3. (i) Large cup may be physiological or glaucomatous. (ii) Cup becomes full in papilloedema and papillitis. Ref.AK Khurana 4th edition page no 477